MRP2 gene defect results in which of the hereditary disorders of bilirubin metabolism and Transport is:
1. Gilberts
2. Crigler najjar type I
3. Crigler najjar type II
4. Dubin johnson-

Correct answer: 4. Dubin johnson-

Explanation: PARAMETER Syndrome GILBERT'S CRIGLER- NAJJAR TYPE I CRIGLER-NAJJAR TYPE II DUBIN-JOHNSON ROTOR'S Incidence 6%-12% Very rare Uncommon Uncommon Rare Gene affected UGT1A1 UGT1A1 UGT1A1 MRP2 Unknown Metabolic defect |Bilirubin conjugation No bilirubin conjugation ||Bilirubin conjugation Impaired canalicular export of conjugated bilirubin Impaired canalicular export of conjugated bilirubin Ref:Sleisenger and Fordtran's,E-9,P-326.